Which of the following is false about salmeterol:
1. Regular use may worsen asthma
2. First long acting selective beta-2 agonist
3. Effective for acute asthmatic attacks
4. More beta-2 selective agonist than salbutamol

Correct answer: 3. Effective for acute asthmatic attacks

Explanation: Ans. C: Effective for acute asthmatic attacks Salmeterol is a first, long acting beta-adrenoceptor agonist (LABA), usually only prescribed for severe persistent asthma following previous treatment with a short-acting beta agonist such as salbutamol. The primary noticeable difference of salmeterol to salbutamol is that the duration of action lasts approximately 12 hours in comparison with 4-6 hours of salbutamol. When used regularly every day as prescribed, inhaled salmeterol decreases the number and severity of asthma attacks. However, like all LABA medications, it is not for use for relieving an asthma attack that has already started. Inhaled salmeterol works like other beta 2-agonists, causing bronchodilation by relaxing the smooth muscle in the airway so as to treat the exacerbation of asthma.